Bacterial pyogenic parotitis affecting the parotid gland is most common after:
1. Uveo-parotid fever
2. Mumps
3. Debilitation after major surgery
4. After administration of iodine

Correct answer: 3. Debilitation after major surgery

Explanation: Ans. C: Debilitation after major surgery Acute bacterial parotitis is now infrequent, but its historical importance. Mumps and bacterial parotitis were differentiated by 1800, but neither was effectively treated. The mortality rate for bacterial parotitis was 80%. Before antibiotics and intravenous administration of fluids were available, bacterial parotitis occurred in postoperative patients or other severely ill patients who became dehydrated and contributed to their demise as an incurable sepsis.